Treatment of choice in acute congestive glaucoma
1. Pilocarpine
2. Laser iridotomy
3. Timolol
4. Trabeculoplasty

Correct answer: 2. Laser iridotomy

Explanation: B i.e. Laser iridotomy In acute congestive glaucoma stage of primary angle closure glaucoma the fellow eye require prophylactic peripheral iridotomy or surgical iridectomy Q (as PACG is usually a B/L disease and the fellow eye is in latent, subacute or intermittent stage).